Rivastigmine and Donepezil are drugs used predominantly in the management of :
1. Depression
2. Dissociation
3. Delusion
4. Dementia

Correct answer: 4. Dementia

Explanation: Rivastigmine, Donepezil, Tacrine, and Galantamine all are central cholinesterase inhibitors and are used in dementia of Alzheimer's disease.